In an outbreak of cholera in a village of 2,000 population, 20 cases have occurred and 5 died. Case fatality rate is
1. 1%
2. 0.25%
3. 5%
4. 25%

Correct answer: 4. 25%

Explanation: (Refer: K. Park's Textbook of Preventive and Social medicine, 24thedition, pg no: 63)